Iron is predominantly absorbed in
1. Stomach
2. Duodenum
3. Colon
4. Ileum

Correct answer: 2. Duodenum

Explanation: Almost all iron absorption occurs in the duodenum. Transport of Fe2+ into the enterocytes occurs divalent metal transporter 1 (DMT1). Some are stored in ferritin, and the remainder is transported out of the enterocytes by a basolateral transporter named ferroportin 1. A protein called hephaestin (Hp) is associated with ferroportin 1. It is not a transporter itself, but it facilitates basolateral transport. In the plasma, Fe2+ is converted to Fe3+ and bound to the iron transport protein transferrin. This protein has two iron-binding sites. Normally, transferrin is about 35% saturated with iron, and the normal plasma iron level is about 130 mg/dL (23 mmol/L) in men and 110 mg/dL (19 mmol/L) in women.Ref: Ganong's review of medical physiology 23rd edition Page no: 452